Which of the following tendons has attachments on sustenticulum Tali?
1. Tibialis Anterior
2. Tibialis Posterior
3. Flexer digitorum longus
4. Flexer Hallucis Longus

Correct answer: 2. Tibialis Posterior

Explanation: Sutenticulum Tali provides attachment to a slip of Tibialis Posterior Tendon. Ref: BDC, Volume 2, 4th Edition, Page 38; Anatomy By Mitra, Volume 3, Page 138; Grants Method of Anatomy, 11th Edition, Page 326, 329